Hypersensitivity vasculitis affects
1. Post-capillary venules
2. Arterioles
3. Veins
4. Medium-sized arteries

Correct answer: 1. Post-capillary venules

Explanation: . Post-capillary venules